Symptoms of hyperthyroidism include
1. Intolerance to cold
2. Decreased appetite
3. Weight gain
4. Palpitations

Correct answer: 4. Palpitations